Reversible dementia is seen in?
1. Alzheimer's disease
2. Hypothyroidism
3. Subacute demyelination of spinal cord
4. Pick's disease

Correct answer: 2. Hypothyroidism

Explanation: Causes of Reversible dementia: Hypothyroidism (Myxoedema) Thiamine deficiency Vitamin B12 deficiency Normal pressure hydrocephalus (NPH) Subdural hematoma Chronic infection Brain abscess